Retraction of tympanic membrane touching the promontory. It is called ?
1. Mild retraction
2. Severe retraction
3. Atelectasis
4. Adhesive otitis

Correct answer: 3. Atelectasis

Explanation: Ans. is 'c' i.e., Atelectasis Tympanic membrane retraction The retracted segment of eardrum is often known as a retraction pocket. The terms "atelectasis" or sometimes "adhesive otitis media" can be used to describe retraction of a large area of the pars tensa.